What is the recommended lifespan of Cu T 380A is?
1. 4 years
2. 5 years
3. 3 Years
4. 10 Years

Correct answer: 4. 10 Years

Explanation: The recommended lifespan of various Cu T devices are as follows: Cu T 380A - 10 years Cu T 380Ag - 4 years Cu T 200 - 4 years Nova Cu T 200 - 5 years Cu T 220C - 3 years Multiload Cu T 250 - 3 years Multiload Cu T 375 - 5 years Ref: Comp Textbook of Obstetrics and Gynecology, Sadhana Gupta, 2011, Page 308